A 24 - year - old woman presents to her GP with mildly painful swelling of her right leg and acute shortness of breath. She is 32 weeks pregnant with her second child but is otherwise well and has no other medical history. With regard to this which of the following statement is NOT true?
1. Deep vein thrombosis and venous obstruction by the pregnant uterus are likeliest causes
2. An ultrasound of deep veins of the right leg should be done
3. D-Dimer assay could be an important diagnostic tool
4. V/Q scan can be helpful in this condition

Correct answer: 3. D-Dimer assay could be an important diagnostic tool

Explanation: D - dimers would not be of any value as they are raised to ' abnormal ' levels in pregnancy. Likely causes of this condition: Deep vein thrombosis and venous obstruction by the pregnant uterus. An ultrasound of deep veins of the right leg would look for a deep vein thrombosis. Pulmonary embolism could be the cause for shortness of breath, to rule out this V/Q scan is useful.